Nerve supply of cricothyroid-
1. Recurrent laryngeal nerve
2. Internal laryngeal nerve
3. External laryngeal nerve
4. Mandibular nerve

Correct answer: 3. External laryngeal nerve

Explanation: Ans. is 'c' i.e., External laryngeal nerve Above the vocal cordBelow vocal cordSensory supplyInternal laryngeal nerveRecurrent laryngeal nerveArteriesSuperior laryngeal artery (Branch of superior thyroid artery)Inferior laryngeal artery (Branch of inferior thyroid arteryLymphaticsAnterosuperior group of deep cervical lymph nodesPosteroanterior and a pre-laryngeal group of lymph nodesMotor supplyo All intrinsic muscles of the larynx are supplied by recurrent laryngeal nerve except cricothyroid.o Cricothyroid is supplied by the external laryngeal nerve.